Which anticancer drug causes hypercoagulable syndrome?
1. 5-FU
2. L-asparaginase
3. Melphalan
4. Carmustine

Correct answer: 2. L-asparaginase

Explanation: Hypersensitivity reaction manifested by fever, chills, nausea, and vomiting, urticaria, bronchospasm, respiratory failure and hypotension; irt ed risk of both clotting and bleeding as a result of alterations in various clotting factors; pancreatitis, and neurological toxicity. Ref: KD Tripathi 8th ed.